Vernal keratoconjunctivitis -
1. Is usually unilateral
2. Eosinophil is common in the papilla
3. Is commoner in adults than in children
4. Causes corneal melting

Correct answer: 2. Eosinophil is common in the papilla

Explanation: Ans. (b) Eosinophil is common in the papillaeRef: Parson's 21/e, p. 178* Histologically hypertrophied papillae show eosinophilic leukocytes in great numbers* In addition infiltration with basophils, lymphocytes and plasma cells may also be seen.